True about Sugammadex is?
1. Local Anesthetic agent
2. General Anesthetic agent
3. Neuromuscular blocking agent
4. Reversal of neuromuscular blocking agent

Correct answer: 4. Reversal of neuromuscular blocking agent

Explanation: Sugammadex is a novel agent for reversal of neuromuscular blockade by the agent rocuronium in general anesthesia. It is the first selective relaxant binding agent (SRBA).